Early age of sex is risk factor for -
1. Carcinoma Cervix
2. Carcinoma vulva
3. Carcinoma vagina
4. Carcinoma ovary

Correct answer: 1. Carcinoma Cervix

Explanation: Ans. is 'a' i.e., Carcinoma cervix [Ref: Williams Gynaec 2nd/e p.)o Having sex with multiple sexual partners and early age of first sexual intercourse are the risk factors for the develop- ment of carcinoma cervix.